A 60-year-old chronic smoker presents with weight loss, cough and hemoptysis. A chest radiograph was obtained and revealed this appearance. The patient developed over the next few days a gradually progressive left upper limb pain, paraesthesia and weakness. He also developed left sided Horner's syndrome. Most likely diagnosis is:
1. Fungal ball
2. Pulmonary hydatid cyst
3. Pancoast tumour
4. Hamartoma

Correct answer: 3. Pancoast tumour

Explanation: Ans. C Pancoast tumourYou can see a left apical mass (radio opacity) causing gross destruction of overlying ribs and soft tissues - suggests Pancoast tumourQ. Most commonly - Squamous cell carcinomaQ. MRI is IOCQ.